P wave is due to:
1. Atrial depolarization
2. Atrial repolarization
3. Ventricular depolarization
4. Ventricular repolarization

Correct answer: 1. Atrial depolarization

Explanation: Answer is A (Atrial Depolarization) P wave is produced due to atrial depolarization. Intervals Events in the Heart During Interval P wave Atrial depolarization PR interval Atrial depolarization and conduction through AV node QRS duration Ventricular depolarization and atrial repolarization QT interval Ventricular depolarization plus ventricular repolarization ST interval (QT minus QRS) Ventricular repolarization